A dental bur cuts the tooth structure more effectively when rake angle of bur is
1. Positive
2. Negative
3. Radial
4. None of the above

Correct answer: 1. Positive